All of the following are included in Jones major criteria except:
1. Lymphadenopathy
2. Polyarthritis
3. Sydenham's chorea
4. Pancarditis

Correct answer: 1. Lymphadenopathy

Explanation: Ans. A. LymphadenopathyJohns major criteria - Migratory flitting polyarthritis, Sydenham's chorea, pan carditis, subcutaneous nodules, erythema marginatum